Pyogenic infection and brain infarction associated with -
1. Coagulative necrosis
2. Liquefaction necrosis
3. Caseous necrosis
4. Fat necrosis

Correct answer: 2. Liquefaction necrosis

Explanation: Ans. is 'b' i.e., Liquefactive necrosis